The use of levodopa is avoided in which of the following patients?
1. Alzheimer's disease
2. Psychosis
3. Multiple sclerosis
4. Amyotrophic lateral sclerosis

Correct answer: 2. Psychosis

Explanation: Any drug which increase dopamine in brain causes psychosis.Levodopa should be avoided in patient with psychosis Anti parkinsonism drug can cause psychosis Anti Psychotic drug can cause parkinsonism Multiple sclerosis : Interferon b1a and interferon b1b: The immunomodulatory effects of interferon help to diminish the inflammatory responses that lead to demyelination of the axon sheaths. Glatiramer: Glatiramer is a synthetic polypeptide that resembles myelin protein and may act as a decoy to T-cell attack. Natalizumab: Natalizumab is a monoclonal antibody indicated for MS in patients who have failed first-line therapies.